The incidence of allergy to penicillin among various population ranges from
1. 1% to 10%
2. 10% to 20%
3. 20% to 30%
4. 30% to 40%

Correct answer: 1. 1% to 10%